Somatic mutation E17K in the PH domain of AKT-1 gene mutation is associated with?
1. Stomach
2. Breast
3. Ovary
4. Pancreas

Correct answer: 2. Breast

Explanation: Ans. (b) Breast(Ref: Atlasgeneticsoncology.org/Genes/AKT1)Hyper-activation of AKT1 has been found associated to several human cancers:*Thyroid carcinoma*Breast carcinoma*Non-small cell lung carcinoma*Gastric carcinomaNow coming to question: Somatic mutation E17K occurs in the PH domain of AKT1 in 8% of human breast cancers. This mutation also occurs in 6% of colorectal cancers.